Drug of choice for supraventricular tachycardia is:
1. Verapamil
2. Diltiazem
3. Digoxin
4. Phenytoin

Correct answer: 1. Verapamil

Explanation: Ans. (A) Verapamil(Ref: Katzung 11th/e p243-244, KDT 8th/e p580-581)*Adenosine is DOC for PSVT termination.*Verapamil is DOC for prophylaxis of PSVT and for management of sustained supraventricular tachycardia.